Dobutamine acts on all of the following receptors except
1. β1
2. β2
3. D1
4. α1

Correct answer: 3. D1

Explanation: Dobutamine has no action on Dopamine receptors.